Acid etching of enamel margins
1. Provides chemical retention
2. Provides mechanical retention
3. Is used as resistance form
4. Is used for pulp protection

Correct answer: 2. Provides mechanical retention